Autosomal dominant is –
1. G6PD deficiency
2. Neurofibromatosis
3. Hirschsprung's disease
4. Vitamin D resistant rickets

Correct answer: 2. Neurofibromatosis